In each freshwater drowning the death occurs within 4-5 minutes of submersion due to ventricular fibrillation. Which of the following reasons is responsible for this?
1. Total asphyxia is produced due to fresh water
2. Laryngospasm causing vagal inhibition
3. Haemoconcentration of blood caused by the osmotic pressure effect
4. Haemodilution, overloading of heart and haemolysis resulting in release of Potassium

Correct answer: 4. Haemodilution, overloading of heart and haemolysis resulting in release of Potassium

Explanation: D i.e. Hemodilution, overloading of heart and hemolysis resulting in release of potassium